Vesicular lesions, indistinguishable from primary infection, which arise in other parts of the body of an allergic individual infected with Trichophyton are referred to as
1. Dermatiphytids
2. Trichophytins
3. Eschars
4. Carbuncles

Correct answer: 1. Dermatiphytids

Explanation: Dermatiphytids - Hypersensitivity to dermatophyte antigen may occur which leads to appearence of secondary eruption in sensitized patients because of circulation of allergic products. These lesions are indistinguishable , but these lesions are distinct from the primary ringworm lesion as they occur distal to primary site and fungal culture often turns negative.